A 5 year old child presents with history of fever off- and-on for past 2 weeks and petechial spots all over the body and increasing pallor for the past 1 month. Examination reveals splenomegaly of 2 cms below costal margin. The most likely diagnosis is:
1. Acute leukemia
2. Idiopathic thrombocytopenic purpura
3. Hypersplenism
4. Aplastic anemia

Correct answer: 1. Acute leukemia

Explanation: This child is having fever, pallor, petechiae, splenomegaly; so most likely diagnosis is acute (lymphoblastic) leukemia. Ref: O P Ghai Essential Pediatrics, 6th Edition, Pages 303, 323, 561, 563 ; Vascular and Interventional Radiology: Principles and Practice, Curtis W. Bakal - 2002